Hemoperfusion with charcoal is useful in poisoning with -
1. Barbiturate poisoning
2. Methyl alcohol
3. Lithium
4. Ethylene glycol

Correct answer: 1. Barbiturate poisoning

Explanation: Haemoperfusion This is a technique that is increasingly becoming popular since it is capable of removing many of the toxins that are not removed well by haemodialysis Procedure-- An arteriovenous shunt or a double-lumen venous catheter is inserted into the patient's vascular tree. The haemoperfusion column and lines are primed with heparinised saline in accordance with the manufacturer's instructions and connected to the shunt or catheter. On commencement of perfusion, a bolus of heparin is injected into the arterial line and heparinisation is continued by administering an infusion of heparinised saline. Toxins removed by hemoperfusion Amanitin, Paracetamol Barbiturates (all categories), Paraquat Carbon tetrachloride, Phenols Chloral hydrate ,Phenylbutazone Chlorpromazine, Promethazine Dapsone ,Propoxyphene Diazepam, Quinidine, quinine Digoxin ,Salicylates Diphenhydramine ,Theophylline Organophosphates, Tricyclic antidepressants REF:THE SYNOPSIS OF FORENSIC MEDICINE AND TOXICOLOGY:K S NARAYANA REDDY;PAGE NO 290